A young woman who has suffered recurrent abortions, presents with thrombosis of leg veins. The most likely diagnosis is
1. Chromosomal abnormality
2. Factor VIII deficiency
3. Antiphospholipid antibody syndrome
4. Increased antithrombin III levels

Correct answer: 3. Antiphospholipid antibody syndrome

Explanation: Anti phospholipid syndrome - Vascular thrombosis Recurrent pregnancy loss >=3 spontaneous abortions <10 weeks Death of normal fetus > 10 weeks Premature birth at <34 weeks due to pre-eclampsia or placental insufficiency Laboratory Features:1. Elevated anticardiolipin antibodies (IgG or IgM)2. Elevated Anti beta-2 glycoprotein -1 Antibody3. Presence of Lupus Anticoagulant (LA) in plasma